After how many days of ovulation, embryo implantation occurs?
1. 3-5 days
2. 6-9 days
3. 10-12 days
4. 13-15 days

Correct answer: 2. 6-9 days

Explanation: After the fertilization process, embryo is formed in the ampulla and it reaches the uterine cavity on 3rd - 4th day and the implantation occur between 6th to 9th day of ovulation